Rigor mortis start in:
1. Heart
2. Brain
3. Right iliac fossa
4. Left iliac fossa

Correct answer: 1. Heart

Explanation: Ans. (A). HeartRigor mortis (which is due to ATP depletion) starts in heart within 1 hourQ.Externally, rigor mortis first involves eyelidsQRigor mortis involves both voluntaryQ & involuntary muscles (involuntary muscles earlier than voluntary muscles)#Rigor mortis occurs earlier in cholera & strychnine poisoning#Pugilistic attitude is non specific